Gout can be precipitated by all of the following
1. Thiazides
2. Furosemide
3. Cyclosporine
4. High dose salicylates

Correct answer: 4. High dose salicylates

Explanation: Ans. is 'd' i.e., High dose salicylates High dose Salicylates are uricosuric and do not cause Hyperuricemia. Diuretics including Thiazides and Furosemide are known to cause Hyperuricemia. Cyclosporine and Tacrolimus are also associated with Hyperuricemia. High Doses of Salicylates > 3.0 g/day are uricosuric, while Low doses (0.3 to 3.0 g/day) are associated with uric acid retention and Hyperuricemia. Also know Causes of drug or diet induced hvperuricemia. Diuretics (thiazides and loop diuretics) Cyclosporine and tacrolimus. Low dose salicylates. Ethambutol. Pyrazinamide. Ethanol. Levodopa. Methoxyflurane. Laxative abuse (alkalosis). Salt restriction.